The substance that accumulates in cardiac myxoma is -
1. Mucopolysaccharides
2. Sialomucin
3. Gelatin
4. Glycoprotein

Correct answer: 1. Mucopolysaccharides